All the following in the Light's criteria are suggestive of exudative pleural effusion EXCEPT
1. Pleural fluid protein :serum protein ratio> 0.5
2. Pleural fluid ADA< 16
3. Pleural fluid LDH : serum LDH ratio> 0.6
4. Pleural fluid LDH >two thirds of the upper limit of serum LDH

Correct answer: 2. Pleural fluid ADA< 16

Explanation: Light's criteria is used for distinguishing pleural transudate from exudate.Exudate is likely if one or more of the following criteria are met:-(a)Pleural fluid protein:Serum protein ratio>0.5;(b)Pleural fluid LDH:Serum LDH ratio>0.6;(c)Pleural fluid LDH>two-thirds of the upper limit of normal serum LDH. Reference:Davidson's medicine-22nd edition,page no:662.